Pesudo fracture of looser's zone is seen in
1. Osteoporosis
2. Osteopetrosis
3. Osteomalacia
4. Scurvy

Correct answer: 3. Osteomalacia

Explanation: C i.e. Osteomalacia